After a leisure trip, a patient comes with gritty pain in eye, and joint pain. What is the most probable diagnosis?
1. Reiter s syndrome
2. Bachet s syndrome
3. Sarcoidosis
4. SLE

Correct answer: 1. Reiter s syndrome

Explanation: ANSWER: (A) Reiter's syndromeREF: Harrison's 18th ed chapter 325This is a case of reiters syndrome or reactive arthritis with a classical triad of arthritis, conjunctivitis (gritty feeling in eyes) 8t urethritis.Important points about reactive arthritis:Reactive arthritis (ReA) refers to acute nonpurulent arthritis complicating an infection elsewhere in the body. In recent years, the term has been used primarily to refer to SpA following enteric or urogenital infectionsS. flexneri has most often been implicated in cases of ReAOther bacteria identified definitively as triggers of ReA include several Salmonella spp., Yersinia enterocolitica, Y. pseudotuberculosis, Campylobacter jejuni, and Chlamydia trachomatisCharacteristic skin lesions : circinate balanitis , keratoderma blennohemmorhagicumAbout bechet's disease rememberDiagnostic Criteria of Behchet's DiseaseRecurrent oral ulceration plus two of the following:Recurrent genital ulcerationEye lesionsSkin lesionsPathergy test